Legal age by w hich fetus is capable of independent existence is -
1. 240 days
2. 230 days
3. 220 days
4. 210 days

Correct answer: 4. 210 days

Explanation: Ans. is 'd' i.e., 210 days o Viability means the physical ability of a foetus to lead a separate existence after birth apart from its mother, by virtue of a certain degree of development. A child is viable after 210 days (7 months) of intrauterine life, and in some cases after 180 days (6 months) but in most of these cases fetus is immature.o Full term mature infant show :-Length (crow n-heel length) 48-52 cm, head circumference 30-35 cm.Ossification center at lower end of femur (appears at the end of 9 months or just before birth) and Ossification center ofcuboid and upper tibia may also present (Note : some ossification centers are also present, but they appear before the attainment of viability so their presence does not have importance. These are (i) Clavicle, mandible, ribs vertebra - at the end of 2nd month, (ii) Calcaneum(os calcis) and manubrium sterni - at the end of 5th month and (iii) Sternum - at the end of 6 month). Other center which appears at attainment of viability is primary ossificaion center of talus which appears at the end of 7th month.